Ligament supporting the talus is ?
1. Spring ligament
2. Deltoid ligament
3. LCL
4. Cervical ligament

Correct answer: 1. Spring ligament

Explanation: Ans. A) Spring ligament Spring ligament (Plantar calcaneonavicular ligament) connects the calcaneum with the navicular bone. However, its principal job is to provide a sling for the talus, to support the head of talus (though it has no attachment to talus). This aids in supporting the weight of the body. Weaknes or lengthening along this ligament can cause flat foot